Prophylactic treatment in fellow eye of angle closure glaucoma:
1. PG analogues
2. Trabeculectomy
3. Iridotomy
4. Trabeculoplasty

Correct answer: 3. Iridotomy

Explanation: Iridotomy is the prophylactic treatment in fellow eye of angle closure glaucoma. Yag Iridotomy Done in cases of occludable angles. Can increase risk of cataract. Nd Yag/ Argonlaser is used. LASER is fired over crypts. Pre-operative pilocarpine is given Not effective if there is Peripheral anterior synechiae > 270 deg. Prophylactic treatment of fellow eye of angle closure glaucoma. Iridotomy